All of the following may occur due to hyperkalemia, except -
1. Prolonged PR interval
2. Prolonged QRS interval
3. Prolonged QT interval
4. Ventricular asystole

Correct answer: 3. Prolonged QT interval